MELD score includes all except
1. S. bilirubin
2. S. creatinine
3. Prothrombin time
4. Serum albumin

Correct answer: 4. Serum albumin

Explanation: Serum albumin is not a part of MELD SCORE.
It is a part of child - pugh classification.